Branched chain amino acid which is both ketogenic and glucogenic ?
1. Leucine
2. Isoleucine
3. Valine
4. Tryptophan

Correct answer: 2. Isoleucine

Explanation: Ans. is 'b' i.e., Isoleucine